Most frequent cause of neonatal thrombocytopenic purura is –
1. Infection
2. Drug idiosyncrasy
3. Large haemangiomas
4. Erythroblastosis

Correct answer: 1. Infection

Explanation: Amongst the given options, only infection causes neonatal thrombocytopenia